who was the sceinntist invoved in the invetion of psycho surgery
1. jean piaget
2. almedia lama
3. moein seligman
4. eugene blleuler

Correct answer: 2. almedia lama

Explanation: * Jacobson=================lobotomy in chimpanzees * Almedia lima+ egaz moniz===PF leukotomy * Subcaudate tractotmy======OCD * Limbic leukotomy=========OCD and depression * Anterior capsulotomy Anterior cingulotomy Ref. kaplon and sadock, synopsis of psychiatry, 11 th edition, pg no. 1065